Cyclopropagative?
1. Malaria
2. Plague
3. Filaria
4. None

Correct answer: 1. Malaria

Explanation: Ans. is 'a' i.e., Malaria o Has been explained in previous session